Glue ear is also known as-
1. Serous otitis media
2. Chronic suppurative Otitis media
3. Acute mastoiditis
4. Acute suppurative otitis media

Correct answer: 1. Serous otitis media

Explanation: Ans. is 'a' i.e., Serous otitis media Serous otitis media (SOM) has many synonyms:o Serous otitis mediao Otitis media with effusiono Glue ear,o Non- suppurative otitis mediao Mucoid otitis mediao Silent otitis mediao SOM occurs most commonly in school going children and SOM is the commonest cause of childhood hearing los